Homonymous hemianopia is seen in -a) Pituitary adenomab) Optic nerve damagec)  Post chiasmic damaged) Cortical lesion
1. ab
2. bc
3. cd
4. ac

Correct answer: 3. cd

Explanation: Homonymous hemianopia occurs due lesion behind the optic chiasma (post chiasmatic lesions) because visual pathway beyond optic chiasma contains fibres from temporal half of ipsilateral retina and nasal half of opposite retina. So, homonymous hemianopia can occur in lesions of optic tract, lateral geniculate body, total optic radiation, anterior occipital cortex.